Which drug can be administered through all routes?
1. Fentanyl
2. Paracetamol
3. Penicillin G
4. Azithromycin

Correct answer: 1. Fentanyl

Explanation: Ref: Katzung 11th ed. p. 542Explanation:Most opioid analgesics are well absorbed when given by subcutaneous, intramuscular, and oral routes.Rectal suppositories of morphine and hydromorphone have been used when oral and parenteral routes are undesirable.The transderma I patch provides stable blood levels of drug and better pain control while avoiding the need for repeated parenteral injections.Fentanyl has been the most successful opioid in transdermal application and is indicated for the management of persistent unremitting pain.The intranasal route avoids repeated parenteral drug injections and the first-pass metabolism of orally administered drugs.Butorphanol is the only opioid currently available in the USA in a nasal formulation. Butorphanol has shown greater analgesia in women.Another alternative to parenteral administration is the buccal transmucosal route, which uses a fentanyl citrate lozenge or a "lollipop'' mounted on a stick.